An L isomer of monosaccharide formed in the human body is
1. L-Fructose
2. L-Erythrose
3. L-xylose
4. L-Xylulose

Correct answer: 4. L-Xylulose

Explanation: Monosaccharides are those sugars that cannot be hydrolyzed into simpler carbohydrates. They may be classified as trioses, tetroses, pentoses, hexoses, or heptoses, depending upon the number of carbon atoms (3-7), and as aldoses or ketoses, depending on whether they have an aldehyde or ketone group. d and l isomerism: The designation of a sugar isomer as the d form or its mirror image as the l form is determined by its spatial relationship to the parent compound of the carbohydrates, the three-carbon sugar glycerose (glyceraldehyde).Pentoses of Physiological ImpoanceSugarBiochemical and ClinicalImpoanced-RiboseStructural component ofnucleic acids andcoenzymes, includingATP, NAD(P), and flavincoenzymesd-RibuloseIntermediate in the pentosephosphate pathwayd-ArabinoseConstituent of glycoproteinsd-XyloseConstituent ofglycoproteinsl-XyluloseExcreted in the urine inessential pentosuriaRef: Harper's Biochemistry; 30th edition; Chapter 15; Carbohydrates of Physiological Significance